Which of the following has autosomal inheritance-
1. Hemophilia
2. Marfan syndrome
3. CHD
4. Gout

Correct answer: 2. Marfan syndrome

Explanation: Ans. is 'b' i.e., Marfan syndrome o Marfan syndrome is an autosomal disorder (autosomal dominant).o Hemophilia is X-linked recessive.o CHD and gout have multifactorial inheritence.